The most common complication of transurethral resection of prostate (TURP) -
1. Erectile dysfunction
2. Retrograde ejaculation
3. Urinary incontinence
4. Urethral stricture disease

Correct answer: 2. Retrograde ejaculation

Explanation: Ans. is 'b' i.e., Retrograde ejaculation